Nervus furcalis is another name for
1. L4
2. L5
3. T6
4. T4

Correct answer: 1. L4

Explanation: Nervus furcalis is another name for L 4